Repeated involuntary regurgitation of food is associated with which of the following disorders?
1. Binge eating disorder
2. Rumination disorder
3. Bulimia nervosa
4. Anorexia nervosa

Correct answer: 2. Rumination disorder

Explanation: Rumination disorder: Effortless and painless regurgitation of partially digested food into the mouth soon after a meal, which iseither swallowed or spit out According to DSM-5, the disordermust be present for at least 1 month after a period of normal functioning, and not better accounted for by gastrointestinal illness, or psychiatric or medical conditions. Can be observed in normal infants It's a functional gastrointestinal disorder Occurs between 3 months and 12 months of age.